An elderly diabetic has left sided orbital cellulites, CT scan of paranasal sinuses shows evidence of left maxillay sinusitis. Gram stained smear of the orbital exudates shows irregularly branching septate hyphae. The following is the most likely aetiological agent -
1. Aspergillus
2. Rhizopus
3. Mucor
4. Candida

Correct answer: 1. Aspergillus